Atypical (Second generation or newer) antipsychotics are:
1. Aripiprazole
2. Risperidone
3. Olanzapine
4. All

Correct answer: 4. All

Explanation: A, B, C i.e. Aripiprazole, Risperidone, Olanzapine